Diatoms are seen in death due to:
1. Strangulation
2. Drowning
3. Electrocution
4. Asphyxia

Correct answer: 2. Drowning

Explanation: Ans. Drowning